Which of following is used as antiflux
1. Borax
2. Boric acid
3. Carbonate
4. Graphite

Correct answer: 4. Graphite